Acute herpetic gingivostomatitis
1. occur in children and young adults
2. occur only in young children
3. occur in only adults
4. all of the above

Correct answer: 1. occur in children and young adults